Taste sensations from the posterior one-third of
the tongue are carried by cranial nerve:
1. VII
2. V
3. X
4. IX

Correct answer: 4. IX